The structure which doesn't pass through the parotid gland?
1. Facial nerve
2. ICA
3. Branch of ECA
4. Retromandibular vein

Correct answer: 2. ICA

Explanation: ICA doesn't pass through the parotid gland. Structures passing through the parotid gland are: Facial N. Retromandibular vein Ext. carotid artery Sympathetic plexus (a/w ECA)